A complete clasp assembly consists of a
1. Retentive arm and a reciprocal arm
2. Circumferential arm and a bar-type arm
3. Proximal plate and a retentive arm
4. Retentive arm, an occlusal rest, and reciprocating elements

Correct answer: 4. Retentive arm, an occlusal rest, and reciprocating elements